All the following indicators are used to measure disability rates in a community except ?
1. Suillivan's index
2. Human poverty index
3. Health adjusted life expectancy
4. Disability adjusted life yea

Correct answer: 2. Human poverty index

Explanation: Ans. is 'b' i.e., Human poverty index